Urinalysis shows RBC casts; likely source is -
1. Kidney
2. Ureter
3. Bladder
4. Urethra

Correct answer: 1. Kidney

Explanation: RBC casts are indicative of glomerular disease , i.e, the source is from kidney. WBC casts are strongly suggestive of pyelonephritis. Ref : Davidson - 22nd edn - pg no. 468.